In a stable situation
1. Incidence = Prevalence x Duration
2. Prevalence = Incidence x Duration
3. Incidence = Prevalence + Duration
4. Prevalence = Incidence + Duration

Correct answer: 2. Prevalence = Incidence x Duration

Explanation: Ref:Parks 23rd edition pg 61 Prevalence = Incidence x Duration